All the following viruses are transmitted by arthropod vectors except:
1. Hantavirus
2. Dengue
3. Chikungunya
4. Japanese Encephalitis

Correct answer: 1. Hantavirus

Explanation: Option 1: Infection with hantavirus can progress to Hantavirus Pulmonary Syndrome (HPS). Infection : through contact with hantavirus-infected rodents or their urine and droppings. Dogs and cats are not known to carry hantavirus; however, they may bring infected rodents into contact with people if they catch such animals and carry them home. Option 2: Dengue - transmitted by Aedes aegypti. Option 3: Chikungunya - transmitted by Aedes aegypti and Aedes albopictus. Option 4: Japanese Encephalitis- transmitted by Culex tritaeniorhynchus. So, options 2, 3, 4 are transmitted by arthropod vectors.